HNF- 1b gene defect is seen in?
1. MODY2
2. MODY3
3. MODY4
4. MODY5

Correct answer: 4. MODY5

Explanation: HNF- 1b gene is involved in pathogenesis of MODY5. HNF- 1a gene is involved in pathogenesis of MODY 3. Most common type of MODY is MODY 3.